Which of the following is occupational disease of gardners?
1. Candidiasis
2. Sporotrichosis
3. Histoplasmosis
4. Cryptococcosis

Correct answer: 2. Sporotrichosis

Explanation: Sporothrix schenckii Environmental form: on plant material, worldwide as hyphae with rosettes and sleeves of conidia* Traumatic implantation (rose or plum tree thorns, wire/sphagnum moss)Tissue form: cigar-shaped yeast in tissueDiseases include:* Sporotrichosis (rose gardener disease): subcutaneous or lymphocutaneous lesions; treatment: itraconazole or potassium iodide in milk* Pulmonary (acute or chronic) sporotrichosis; alcoholics, particularly homeless (alcoholic rose-garden-sleeper disease); Treatment is itraconazole for bone/joint infection and amphotericin B for severe/systemic infection.Ref: Sherris microbiology; 6th edition; Page no: 725